Female genital tract develops from ?
1. Mesonephric duct
2. Mesonephric tubules
3. Mullerian duct
4. None

Correct answer: 3. Mullerian duct

Explanation: Mesonephric duct (Wolffian duct) is the main genital duct in males as it gives rise to mainly male genital system.Paramesonephric duct (Mullerian duct) gives rise to mainly female genital tract